Virulence factor for Clostridium tetani -
1. Endotoxin
2. Tetanolysin
3. Tetanospasmin
4. Bacteremia

Correct answer: 3. Tetanospasmin

Explanation: Ans. is 'c1 i.e., Tetanospasmin Pathogenicity of Cl tetanio Cl. tetani has little invasive property and is confined to the primary site of lodgment. Tetanus results from the action of the potent exotoxin it produces.Toxin (released in the wound)|binds to peripheral motor neuron terminals|enters the axon|transported to cell body in the brain stem and spinal cord by retrograde intraneural transport|Presynaptically blocks release of glycine & GABAToxins of Cl tetaniTefanolysin (Hemolysin)o Not relevant in the pathogenesis of tetanus.Tetanospasmin (neurotoxin)o Responsible for tetanuso It is plasmid codedo In the brainstem and spinal cord it blocks release of the inhibitory neurotransmitter glycine and g- aminobutyric acid (GABA).o It resembles stry chnine in its effects, but it acts presynapticaily, while strychnine acts postsynaptically.o Tetanus toxin and botulinum toxin resemble each other in their aminoacid sequences.Nonspasmogenic, peripherally active neurotoxino Its role is not known